All can be used to lower mother to child HIV spread except:
1. Elective CS
2. Omitting ergometrine
3. ART
4. Intrapartum nevirapine

Correct answer: 2. Omitting ergometrine

Explanation: treatment Zidovudine given IV starting at onset of labour or 4 hours prior to CS section A single dose nevirapine at onset of labour and a single dose in newborn at age of 48 hours Elective CS reduces risk by 50% Avoidance of Breastfeeding,HAART therapy and appropriate mode of delievery has reduced MTCT rates from 25-30% to <1%. Baby should be bathed immediately Invasive methods that might result in break in skin and mucous membrane of infant are contraindicated Triple therapy ART D.C.DUTTA'S TEXTBOOK OF OBSTETRICS,Pg no:302,7th edition